All are true about bulimia nervosa, except
1. Binge eating
2. Self-induced vomiting
3. Weight loss
4. Purgative abuse

Correct answer: 3. Weight loss

Explanation: Bulimia NervosaBulimia nervosa is an eating disorder characterised by the following clinical features:1. Bulimia nervosa usually has an onset in early teens or adolescence.2. There is an intense fear of becoming obese. There may be an earlier history of anorexia nervosa.3. There is usually body-image disturbance and the person is unable to perceive own body size accurately.4. There is a persistent preoccupation with eating and an irresistible craving for food. There are episodes of overeating in which large amounts of food are consumed within short periods of time (eating binges).5. There are attempts to 'counteract' the effects of overeating by one or more of the following: self-induced vomiting, purgative abuse, periods of starvation, and/or use of drugs such as appetitesuppressants.6. No known medical illness is present which can account for the disorder.7. An absence of any other primary psychiatric disorder. Ref: A Short Textbook of Psychiatry, Niraj Ahuja, 7th Edition, pg. no.144